Spindle Cell Carinoma is a variant of
1. Pleomorphic Adenoma
2. Adenoid cystic carcinoma
3. Basal cell carcinoma
4. Squamous cell carcinoma

Correct answer: 4. Squamous cell carcinoma